Which of the following drugs is most effective against an organism producing aminoglycoside inactivating enzymes ?
1. Tobramycin
2. Gentamicin
3. Amikacin
4. Streptomycin

Correct answer: 3. Amikacin